Cyanosis in a newborn that disappears on crying is seen in?
1. Laryngocoele
2. Unilateral choanal atresia
3. Bilateral choanal atresia
4. Foreign body

Correct answer: 3. Bilateral choanal atresia

Explanation: Bilateral choanal atresia is due to the persistence of bucconasal membrane. Newborn, being a natural nose breather, presents with respiratory obstruction leading to cyanosis. 
However, if the infant cries and takes a breath through the mouth, the airway obstruction is momentarily relieved and thus cyanosis disappears.